Initiating event of Endotoxic shock
1. Endothelial injury
2. Peripheral vasodilata on
3. Cytokinin action
4. Decreased pumping of heart

Correct answer: 3. Cytokinin action

Explanation: The receptor for the endotoxin in humans is the TLR-4 located on the surface of antigen presenting cells. b. Binding to the receptor activates a cascade of enzymatic reactions which finally leads to the activation of the genes for the proinflammatory cytokines. Ref ganong's review of medical physiology 25e p465